What is the most likely diagnosis in neonate with multiple, healed fractures of long bones ?
1. Osteomalacia
2. Osteopetrosis
3. Osteogenesis imperfecta
4. Congenital rickets

Correct answer: 3. Osteogenesis imperfecta

Explanation: *Osteogenesis imperfecta (Fragilitas ossium, Vrolik's disease) is a condition characterised by frequent fractures (which unite normally) because of weak and brittle bones resulting from defective collagen synthesis.* It is commonly inherited as an autosomal dominant disorder. It also affects skin, sclera, teeth, ligaments etc. leading to blue sclera, joint laxity and otosclerosis in adulthood. *Rickets is characterised by failure of mineralisation , seen prominently at the growth plates, resulting in softening of the bones and development of deformities. *Osteomalacia is the adult counterpart of rickets.* Osteopetrosis is characterised by dense but brittle bones(marble bones) with a tendency to fracture. Reference : page 316-17, 310-12 Essential Orthopaedics Maheshwari and Mhaskar 6 th edition